The enamel of the posterior teeth is thickest at
1. Cervical third of buccal surface
2. Middle third of buccal surface
3. Middle third of lingual surface
4. Occlusal surface

Correct answer: 4. Occlusal surface